Chemoreceptors are located in which area?
1. Medulla
2. Arch of aorta
3. Bifurcation of carotid artery
4. All of the above

Correct answer: 4. All of the above

Explanation: Ans. is'd'i.e., AII of the aboveCentral chemoreceptors - Ventral Surface Of Medulla.Peripheral chemoreceptors - At bifurcation of common carotid artery (carotid body) and arch of aorta (aortic bodies)